which of the following drug caiuses priapism
1. sertraline
2. trazadone
3. clomipramine
4. fluoxetine

Correct answer: 2. trazadone

Explanation: SARI * IMPORTANCE antidepressant with good sleep, no sexual problems and no GI side effects. It was thought this would replace SSRI but dint do well because of notorious side effects * MECHANISM Serotonin antagonist and reuptake inhibitor * DRUGS Trazodone Nefazodone * USE low dose trazodone is used as a hypnotic * SIDE EFFECTS Trazodone----------- priapism Nefazodone ---------hepatotoxicity Ref. kaplon and sadock, synopsis of psychiatry, 11 th edition, pg no. 955